In Leiomyoma of uterus which of the following changes does not commonly occur:
1. Fatty degeneration
2. Sarcomatous Degeneration
3. Hyaline degeneration
4. Atrophy

Correct answer: 2. Sarcomatous Degeneration

Explanation: Sarcomatous degeneration is extremely rare, and the incidence is not more than 0.5% Secondary Changes (Degenerations) and Complications Associated with Leiomyomas Hyaline change, cystic degeneration and atrophy Calcareous degeneration, osseous degeneration Red degeneration Sarcomatous change(Rarest) Torsion, haemorrhage Infection/ulceration, particularly in the dependent part of a submucous polyp Inversion of the uterus Endometrial carcinoma associated with fibromyoma(3% cases)